Regarding glutathione which of the following is/are true except
1. It helps in absorption of certain amino acids
2. It inactivates some enzymes
3. It helps in mebrane transport
4. It helps in conjugation reactions

Correct answer: 2. It inactivates some enzymes

Explanation: Glutathione helps in keeping some enzymes in an active state by preventing the oxidation of their sulfhydryl (-SH) group. Therefore, glutathione is required for the catalytic activity of many enzymes.
Glutathione is involved in the transport of amino acids across the cell membrane of the kidney and intestine.
Glutathione is used to conjugate xenobiotics